Ionoising radiation most sensitive in – a) Hypoxiab) S phagec) G2M phased) Activating cell
1. ac
2. cd
3. ad
4. bc

Correct answer: 2. cd

Explanation: Cells that are rapidly growing and dividing are radiosensitive.
G2M phase is most radiosensitive.